Differential diagnosis for pancytopenia with cellular bone marrow include the following except-
1. Megaloblastic anemia
2. Myelodysplasia
3. Paroxysmal Nocturnal Hemoglobinuria
4. Congenital dyserythropoietic anemia

Correct answer: 4. Congenital dyserythropoietic anemia

Explanation: Ans. (d) Congenital dyserythropoietic anemia(Ref: Harrison 18th/pg Chapter 107)In Congenital dyserythropoietic anemia, anemia rather than pancytopenia is seen